A schizophrenic patient started on haloperidol 2 days back, comes with complaints of torticollis and orofaciolingual movements. What is the diagnosis?
1. Acute dystonia
2. Tardive dyskinesia
3. Parkinsonism
4. Akathisia

Correct answer: 1. Acute dystonia

Explanation: Ans. (A) Acute dystonia(Ref: Katzung 11/e p497; KDT 8/e p471)Dystonias are brief or prolonged contractions of muscles that result in obviously abnormal movements or postures, including oculogyric crises, tongue protrusion, trismus, torticollis, laryngeal-pharyngeal dystonias, and dystonic postures of the limbs and trunk. These are earliest appearing extrapyramidal symptoms with antipsychotic drugs.